Most accurate, inexpensive, noninvasive, simpler test of Helicobacter pylori
1. Stool antigen test
2. Serology
3. Urea breath test
4. Biopsy wrease test

Correct answer: 3. Urea breath test

Explanation: (C) Urea breath test TESTS COMMONLY USED TO DETECT H. PYLORI:NoninvasiveSerologyInexpensive & convenientCannot be used for early follow-up; some commercial kits inaccurate13C or14C urea breath testInexpensive and simpler than endoscopy; useful for follow-up after treatmentLow-dose irradiation in 14C testStool antigen testInexpensive and convenient; useful for follow-up after treatment; may be useful in childrenNew test; role not fully established; appears less accurate than urea breath test